A 25 year old female complains of discharge of blood from a single duct in her breast. The appropriate treatment is
1. Radical excision
2. Microdochectomy
3. Radical mastectomy
4. Biopsy to rule out carcinoma

Correct answer: 2. Microdochectomy

Explanation: .DUCT PAPILLOMA - * Commonest cause of bloody discharge from nipple * It is usually single, from a single lactiferous duct * It blocks the duct causing ductal dilatation * Papilliferous swelling (projection), usually seen near the nipple orifice. * Blood stained discharge from the nipple is common. * But serous or serosanguinous discharge can also occur. * Single papilloma is not premalignant. * But multiple papillomas in many ducts can be premalignant. Treatment -Microdochectomy: Probed lactiferous duct is opened, and the papilloma is excised using tennis racquet incision ref:SRB's manual of surgery,ed 3,pg no 467.